Which of the following is not a potassium sparing diuretic?
1. Amiloride
2. Indapamide
3. Spironolactone
4. Triamterene

Correct answer: 2. Indapamide

Explanation: POTASSIUM SPARING DIURETICS P: Potassium sparing diuretics A: Amiloride S: Spironolactone T: Triamterene E: Epleronone